The most common site of mandible fracture is
1. Condylar head
2. Condylar neck
3. Coronoid head
4. Coronoid neck

Correct answer: 2. Condylar neck